"Krukenberg spindle" are seen in -
1. Pigmentary glaucoma
2. Sympathetic ophthalmitis
3. Retinitis pigmentosa
4. Retinoblastoma

Correct answer: 1. Pigmentary glaucoma

Explanation: (A) (Pigmentary glaucoma) (249-Nema 6th) (249 A.K.K. Khurana 5th)PIGMENTARY GLAUCOMA* Type of secondary open angle glaucoma.* About 50% of patients with the Pigment Disperson Syndrome (PDS) develop glaucoma.* Common in young myopic males* Raised IOP, mild-peripheral iris pigment atrophy and dispersion of pigments on the comeal endothelium in a vertical spindle pattern (Krukenberg Spindle)**, trabecular mesh work, Schwalbe's line, iris surface and lens equator characterize the pigmentary glaucoma.* Gonioscopy shows pigment accumulation along the Schwalbe's line especially inferiorly (Sampaolesi's line).* Iris transillumination shows radial slit like transillumination defects in the mid periphery (Pathognomic features).* Dalen Fuch's nodules are seen in sympathetic ophthalmitis**** Flexner Wintersteiner rosette (highly specific of retinoblastoma), Homer Wright rosettes, pseudorosettes and fleurettes formation are histopathological features of Retinoblastoma***